Frequency polygon is obtained by joining the points of
1. Bar diagram
2. Complete bar diagram
3. Multiple bar diagram
4. Histogram blocks

Correct answer: 4. Histogram blocks

Explanation: Ans. d (Histogram blocks) (Ref. Park PSM 22nd/ 788; Methods in Bio-statistics, by B. K. Mahajan 6th/p. 23)Quantitative data is presented by the following graphsQualitative or discrete or enumeration data is presented by the following graphs:# Histogram.# Bar diagram# Frequency polygon.# Pie or sector diagram# Frequency curve.# Pictogram# Line chart or graph.# Spot map# Cumulative frequency diagram (Ogive). # Scatter or dot diagram.